Which of the following is not a cardioselective beta blocker ?
1. Nebivolol
2. Atenolol
3. Betaxolol
4. Oxprenolol

Correct answer: 4. Oxprenolol

Explanation: Ans. is 'd' i.e., Oxprenolol